Tumour marker for Endodermal Sinus Tumour
1. CEA
2. HCG
3. Alfa feto protein
4. Cytokeratin

Correct answer: 3. Alfa feto protein

Explanation: Endodermal sinus tumor (yolk sac tumor) is positive for AFP and α1 - antitrypsin.